In some old fractures, cartilaginous tissue forms over the fractured bone ends with a cavity in between containing clear fluid. This condition is called as:
1. Delayed union
2. Slow union
3. Non union
4. Pseudoarthrosis

Correct answer: 4. Pseudoarthrosis

Explanation: D i.e. Pseudoarthrosis Pseudoarthrosis It is a false joint that may develop after a fracture that has not united properly due to inadequate immobilization.- Inadequate immobilization permits constant movement at the fracture site so that the normal constituents of callus do not form consequently the callus may be composed mainly of fibrous tissue cartilage, perpetuating the instability and resulting in delayed union or nonunion. If a nonunion allows for too much motion along the fracture gap, the central portion of the callus undergoes cystic degeneration and the lumina] surface can actually become lined by synovial like cells, creating a false joint filled with clear fluidQ Causes of Pseudoarthrosis (in decreasing order of frequency) are1. NeurofibromatosisQ (50% patients of pseudoarthrosis have NF)2. Nonunion of fractureQ (including pathological fractures)3. Congenital (mostly in lower to middle third of tibia with cupping of proximal bone end & pointing of distal bone end)4. IdiopathicQ5. Osteogenesis imperfecta6. Fibrous dysplasia7. Cleidocranial dysplasia8. Ankylosing spondylitis (in fused bamboo spine)9. Post surgical eg. triple arthrodesis, spinal fusion etc. as a complication.